A 40-year-old woman with hypertension comes to the physician because of excessive thirst, excessive urination, constipation, and a depressed mood. Her medications include hydrochlorothiazide. Laboratory studies show a serum calcium level of 11.0 mg/dL. 
Which of the following underlying disorders is most likely?
1. Medullary carcinoma of the thyroid
2. Multiple myeloma
3. Parathyroid adenoma
4. Porphyria

Correct answer: 3. Parathyroid adenoma